Stainless steel crowns were given by:
1. Jordon
2. Humphrey
3. Baume
4. Hyatt

Correct answer: 2. Humphrey